Tennis elbow is -
1. Medial Epicondylitis
2. Lateral Epicondylitis
3. Ulnar collateral ligament injury
4. Radial head subluxation

Correct answer: 2. Lateral Epicondylitis

Explanation: Ans. is 'b' i.e., Lateral Epicondylitis o Repeat from previous sessions.